Multiple sebaceous tumors are seen in
1. Gardner's syndrome
2. Cowden's syndrome
3. Carney complex
4. Muir- Torr syndrome

Correct answer: 4. Muir- Torr syndrome

Explanation: D i.e. Muir - Torre syndrome Muir - Torre syndrome (i.e. multiple seabecous tumors like adenoma, carcinoma or keratoacanthoma and visceral malignancy) is a genodermatoses that is cutaneous marker of internal malignancy.